Keratohyaline granules are found in:
1. St. granulosum
2. St. spinosum
3. St. basale
4. Prickle cell layer

Correct answer: 1. St. granulosum